Infant with carnitine deficiency form hypoglycemia due to what reason?
1. Decreased glycosis
2. Decreased gluconeogenesis
3. Increased utilization of glucose
4. Reduced fatty acid oxidation and ketogenesis

Correct answer: 4. Reduced fatty acid oxidation and ketogenesis

Explanation: Carnitine deficiency can occur particularly in the newborn-- and especially in preterm infants--owing to inadequate biosynthesis or renal leakage. Losses can also occur in hemodialysis.This suggests a vitamin-like dietary requirement for carnitine in some individualsSymptoms of deficiency include hypoglycemia, which is a consequence of impaired fatty acid oxidation and lipid accumulation with muscular weakness.Treatment is by oral supplementation with carnitineReference: Harper biochemistry, 30th edition, page no 231